Which of the following is not true about Bronchoalveolar carcinoma -
1. Adenocarcinoma
2. Stromal invasion with desmoplasia
3. Preservation of alveolar structure
4. Grows along pre-existing anatomical structures

Correct answer: 2. Stromal invasion with desmoplasia

Explanation: Ref:Textbook of pathology (Harsh mohan) 6th edition,page no.501 Bronchiolo-alveolar carcinoma is characterised by cuboidal to tall columnar and mucus-secreting epithelial cells growing along the existing alveoli and forming numerous papillary structures . Ultrastructurally, these tumour cells resemble Clara cells or less often type II pneumocytes. it is a type of adenocarcinoma.Thre is preservation of alveolar structure and grows along pre-existing anatomical structures.